Which of the following is not a cardiovascular monitoring technique
1. Transesophageal echocardio-graphy
2. Central venous pressure monitoring
3. Pulmonary artery catheterization
4. Capnography

Correct answer: 4. Capnography

Explanation: TEE monitors flow of blood through the chambers and great vessels,wall motion,size and thickness of chambers CVP monitors Right atrial pressure Pulmonary artery catheterization measures LVEDP(left ventricular end diastolic pressure) Capnography monitors end-tidal CO2 levels ( amount of CO2 in exhaled gas)